Which of the following is not associated with thiazide?
1. Hypercalciuria
2. Hyperuricemia
3. Hypokalemia
4. Hyponatremia

Correct answer: 1. Hypercalciuria

Explanation: Ans. A. HypercalciuriaThiazides diuretics causes hypercalcemia by inhibiting the secretion of calcium from the body. Apart from this, it causes hypokalemia, hyponatremia and hyperuricemia. All the side effects are similar with loop diuretics except the calcium excretion where loop loses calcium.